Root of mesentery is crossed by ?
1. Left testicular artery
2. Left ovarian artery
3. IVC
4. Left ureter

Correct answer: 3. IVC

Explanation: Attached border of mesentery (root of mesentery) crosses -Third (horizontal) part of duodenumAbdominal aorta IVCRight ureterRight psoas major